Arthralgia is commonly caused by which ATT drug?
1. INH
2. Rifampicin
3. Pyrazinamide
4. Ethambutol

Correct answer: 3. Pyrazinamide

Explanation: Arthralgia is caused by pyrazinamide, which may be non-gouty or due to hyperuricemia secondary to inhibition of uric acid secretion in the kidney.
Ethambutol also produces hyperuricemia due to interference with urate excretion.